a-synuclein, a lipid-binding protein, is a major component of
1. Lewy bodies
2. Amyloid
3. Tau protein
4. Neurofibrillary tangles

Correct answer: 1. Lewy bodies

Explanation: a-synuclein, an abundant lipid-binding protein normally associated with synapses. This protein was then demonstrated to be a major component of the Lewy body, which is the diagnostic hallmark of Parkinson diseaseRobbins pathology9e pg: 1294